All are signs of somatic death except -
1. Cessation of respiration
2. Cessation of heart
3. Non-responding muscles
4. No response to external stimuli

Correct answer: 3. Non-responding muscles

Explanation: Somatic death is complete and irreversible stoppage of circulation, respiration and brain functions. Dr. Narayana Reddys Synopsis of Forensic Medicine & Toxicology 27th edition pg.66